Drug of choice for intermediate uveitis -
1. Atropine
2. Antibiotics
3. Topical steroids
4. Systemic steroids

Correct answer: 4. Systemic steroids

Explanation: Treatment of intermediate uveitis Modefied 4 step protocol of kaplan step 1 : Periocular and systemic steroids. Topical steroids are not of much use Step 2 : Immunosuppressive drugs Step3 : Cryotherapy or indirect laser photocoagulation. Step 4 : Pars-plana vitrectomy Ref:A K Khurana 6th edition pg:161